Secondary bile acids are synthesised by:
1. Liver
2. Intestine
3. Both liver and intestine
4. Pancreas

Correct answer: 2. Intestine

Explanation: Bile acids are synthesized in the liver. Bile acids are divided into primary or secondary: Primary bile acids are synthesized in the liver and secondary bile acids are synthesized from primary bile acids in the intestine by colonic bacteria. Ref: Harrison, E-18, P-2461.